Which of the following is not an incision in autopsy?
1. I - shaped incision
2. Y - shaped incision
3. Modified Y - shaped incision
4. J - shaped incision

Correct answer: 4. J - shaped incision

Explanation: Ans. is 'd' i.e., J - shaped incision * Types of primary skin incisions of autopsy are1) I-shaped incision : Extending from the chin straight down to symphysis, passing to the side the umbilicus.2) Y-shaped incision: Begins close to acromion process and then extends down below the breast across to xiphoid process from where it is carried downwards to the symplysis pubis.3) Modified Y-shaped incision rlncision is made from suprasternal notch to symphysis pubis. The incision extendsfrom suprasternal notch over the clavicle to its center on both sides and then passes upwards over the neck behind the ear.